Marker for hairy cell leukaemia is?
1. CD30
2. CD 103
3. CD 1
4. CD4

Correct answer: 2. CD 103

Explanation: Hairy cell leukemia express CD 19 ,CD2O, CD22 antigen. In addition to Bcell markers they are also positive for CD11,CD25,CD103 Reference : Harsh Mohan textbook of pathology, 7th edition.Pg no.358